What is the ponderal index of a neonate with birth weight 2kg and length 50 cm:
1. 1.6
2. 3.6
3. 2.2
4. 2.6

Correct answer: 1. 1.6

Explanation: Ponderal Index (PI) in Neonate = Weight (gm)/ Length (cm)3 x 100 = In this case, PI = 2000/(50)3 x 100 = 1.6